Consider the following Reactive NST Absence of deceleration Sinusoidal pattern Which of the above findings in an antepartum CTG indicate fetal well being :
1. 1 and 2 only
2. 2 and 3 only
3. 1 and 3 only
4. 1, 2, 3

Correct answer: 1. 1 and 2 only

Explanation: 1 and 2 only